Frey's Syndrome- False statement is
1. Gustatory sweating
2. Less chances in Enucleation of lesion than in parotidectomy
3. Auriculotemporal nerve carrying Post ganglionic Sympathetic fibres is injured
4. Botulinum Toxin injection is the treatment

Correct answer: 3. Auriculotemporal nerve carrying Post ganglionic Sympathetic fibres is injured

Explanation: * Frey's Syndrome is due to the Parasympathetic post ganglionic nerve fibre injury. * It's the Auriculotemporal nerve that carries them. * Recent Treatment is Injection of BOTOX in the abnormally innervated areas. * There is less chance of this syndrome if the tumor alone is enucleated than a superficial parotidectomy. Ref:- Surgery Sixer 3rd Edition; Pg num:- 191